Fluoroquinolones act by which of the following mechanism:
1. By inhibiting DNA gyrase.
2. By inhibiting RNA polymerase.
3. Inhibiting folic acid synthesis.
4. Inhibiting protein synthesis.

Correct answer: 1. By inhibiting DNA gyrase.

Explanation: These drugs act by inhibiting DNA gyrase (topoisomerase II) and topoisomerase IV resulting in the inhibition of DNA replication.